In case of uncontrolled epistaxis, ligation of internal maxillary artery is to be done in the -
1. Maxillary antrum
2. Pterygopalatine fossa
3. At the neck
4. Medial wall of orbit

Correct answer: 2. Pterygopalatine fossa